All of the following are true about biotransformation except?
1. It means chemical alteration of the drug in body
2. The primary site for drug metabolism is liver
3. Phase I biotranformation reactions are nonsynthetic
4. Products of phase II biotransformation reactions are mostly active drug metabolites

Correct answer: 4. Products of phase II biotransformation reactions are mostly active drug metabolites

Explanation: Ans. is 'd' i.e., Products of phase II biotransformation reactions are mostly active drug metab liter Biotransformation reactions (metabolism) of drugs can be classified : A) Non-synthetic (phase I) reactions The new metabolite may retain biological activity or it may be an inactive metabolite. Oxidation is the most important metabolizing reaction. The most important enzyme for oxidation reaction is cytochrome P450. B) Synthetic (phase II or conjugation) reaction Metabolism involves union of the drug with one of several polar (water-soluble) endogenous molecules that are products of intermediary metabolism, to form a water-soluble conjugate which is readily eliminated by kidney or, if the molecular weight exceeds 300, in the bile. Phase II metabolism almost invariably terminates biological activity, i.e. metabolites are usually inactive.